Alkaline phosphatase is a tumor marker of which tumor?
1. Seminoma
2. Embryonal carcinoma
3. Yolk sac tumor
4. Embryonal sinus tumor

Correct answer: 1. Seminoma

Explanation: Ans. is 'a' i.e., Seminoma